A patient with ruptured spleen is taken for laparotomy. His blood pressure is 80/50 and heart rate is 125/min. Induction agent of choice for this patient is:
1. Sodium Thiopentone
2. Fentanyl
3. Ketamine
4. Halothane

Correct answer: 3. Ketamine

Explanation: Ans. (C) Ketamine(Ref: Goodman and Gilman 12th/e p538-539)Ketamine increases all pressures (blood pressure, intracranial tension, intraocular pressure) in the body. It is therefore intravenous anesthetic of choice for shock (increases blood pressure).